At 8 weeks postpartum, uterus should weigh about
1. 100 grams
2. 500 grams
3. 700 grams
4. 900 grams

Correct answer: 1. 100 grams

Explanation: During pregnancy, uterus weighs about 1000g At the end of 6weeks ,it's measurement is almost similar to the prepregnant state which is about 60g . Decrease in size of uterus is seen with serial MRI Ref: Dutta Obs 9e pg 137.